Major signs for AIDS case definition according to WHO is-
1. Generalized lymphadenopathy
2. Prolonged fever more than 1 month
3. Prolonged cough for > 1 month
4. Generalized pruritic dermatitis

Correct answer: 2. Prolonged fever more than 1 month

Explanation: Major signs Weight loss greater than or equals to 10% of body weight Chronic diarrhea for more than 1 month Prolonged fever for more than 1 month (intermittent or constant ) Ref: PARK'S TEXTBOOK OF PREVENTIVE AND SOCIAL MEDICINE 23rd edition pg 348